In ARDS management , mechanical ventilation usually Tidal volume is
1. 2-3ml/kg
2. 5-7 mI/kg
3. 5-lOml/kg
4. 12-14ml/kg

Correct answer: 2. 5-7 mI/kg

Explanation: Low volume ventillation(6 ml/kg predicted body weight)has got lower mortality(31%) as compared to the conventional ventilation (12 mL/kg predicted body weight)-40%. Ventilator-induced injury in ARDS is due to two mechanisms: Volutrauma from repeated alveolar overdistension due to excess tidal volume Atelectrauma from recurrent alveolar collapse. Volutrauma can be prevented by providing low tidal volume mechanical ventilation. Atelectrauma can be prevented by adjusting positive end-expiratory pressure to minimize FiO2 and provide adequate PaO2 by minimizing alveolar overdistension. Reference:Harrison's Medicine,20th edition ,page no:2033.